All of the following can be used for prophylaxis of migraine except :
1. Sumatriptan
2. Valproate
3. Propranolol
4. Topiramate

Correct answer: 1. Sumatriptan

Explanation: 'Sumatriptan is the drug of choice for acute severe migraine but it is not indicated for prophylaxis'.